All are contents of axilla, except
1. Axillary tail of breast
2. Axillary vessels
3. Axillary sheath
4. Roots of brachial plexus

Correct answer: 4. Roots of brachial plexus

Explanation: AXILLA: Is a pyramidal space situated between the upper part of the arm and the chest wall. CONTENTS: 1)Axillary artery and its branches. 2)Axillary vein and its tributaries. 3)Infraclavicular part of the brachial plexuses. 4)Five groups of axillary lymph nodes and the associated lymphatics. 5)The long thoracic and intercostobrachial nerves. 6)Axillary fat and aerolar tissue in which the other contents are embedded. REF: BD Chaurasia 7th edition page no:50.